A young patient presented with sudden painless loss of vision with systolic murmur over chest, ocular examination reveals – cherry red spot in macula with clear AC, with perception of light, diagnosis –
1. Central retinal artery occlusion
2. Central retinal vein occlusion
3. Macular choroiditis with infective endocarditis
4. Central serous retinopathy

Correct answer: 1. Central retinal artery occlusion

Explanation: Amongst the given options CRVO, CRAO and central serous retinopathy can cause sudden painless loss of vision. However following features favour the diagnosis of CRAO :-


Cherry red spot
Systolic murmur (suggests cardiac lesion which may be the source of emboli)